In which of the following disorders is administration of barbiturates contraindicated in -
1. Anxiety disorders
2. Acute intermittent porphyria
3. Kern incterus
4. Refractive status epilepticus

Correct answer: 2. Acute intermittent porphyria

Explanation: Ans. is 'b' i.e., Acute intermittent porphyria Barbiturates are contraindicated in acute intermittent porphyria.